Delirium is caused by which poison?
1. Aconite
2. Dhatura
3. Morphine
4. Kerosene

Correct answer: 2. Dhatura

Explanation: Ans. (b) DhaturaRef.: Parikh 6th ed. 11.30